Which of the following nerve provides motor supply to the diaphragm?
1. Phrenic nerve
2. Intercostal nerves
3. Thoracodorsal nerve
4. Sympathetic nerves

Correct answer: 1. Phrenic nerve

Explanation: Motor supply of the diaphragm on each side is by the phrenic nerve (C3, 4, 5). Sensory innervation of the central pleura on the upper surface of the diaphragm and the peritoneum on the lower surface is by phrenic nerve.Sensory innervation of the peripheral parts of the pleura and and peritoneum covering the peripheral areas of the upper and lower surfaces of the diaphragm is from the lower six thoracic nerves.Phrenic nerve arises in the neck from the third, fourth and fifth cervical nerves of the cervical plexus. It also sends branches to the pericardium, the mediastinal pleura, and the pleura and peritoneum covering the upper and lower surfaces of the central part of the diaphragm. Ref: Clinical anatomy for Medical Students By Richard S Snell, 6th Edition, Pages 55-6 ; B.D.Chaurasia's Human Anatomy, 5th Edition, Volume 2, Pages 337-338